Glycemic status over the last 2 weeks is best reflected by:
1. HbA1C
2. Fructosamine assay
3. Anhydroglucitol assay
4. All of the above

Correct answer: 2. Fructosamine assay

Explanation: The fructosamine assay (measuring glycated albumin) reflects the glycemic status over the prior 2 weeks. Alternative assays of glycemic control (including the 1,5 anhydroglucitol assay) should not be routinely used since studies demonstrating that it accurately predicts the complications of DM are lacking. Ref: Harrison's principle of internal medicine 17th edition, chapter 338.